Which of the following means of contraception is the best method to achieve Net Reproductive Rate (NRR)=1?
1. IUCD
2. Condoms
3. Vasectomy
4. Oral pills

Correct answer: 3. Vasectomy

Explanation: NRR is the most significant indicator of fertility. Sterilization accounts for 80% of effective couple protection and hence is the best method among the above choices.